Most common fixative used in electron microscopy:
1. Glutaraldehyde
2. Formalin
3. Picric acid
4. Absolute alcohol

Correct answer: 1. Glutaraldehyde

Explanation: Ans. a. Glutaraldehyde